Nicotinic receptor sites include all of the following except:
1. Bronchial smooth muscle
2. Adrenal medulla
3. Skeletal muscle
4. Sympathetic ganglia

Correct answer: 1. Bronchial smooth muscle